Which is not a side effect of dapsone ?
1. Hemolytic anemia
2. Myopathy
3. Hepatitis
4. Infectious mononucleosis type syndrome

Correct answer: 2. Myopathy

Explanation: Ans. is 'b i.e., Myopathy Adverse effects of dapsone The most common adverse effect of dapsone is hemolytic anaemia (Patients with G-6-PP deficiency are more susceptible). Second most common adverse effect is methemoglobinemia. Other side effects are - Nausea, anorexia, headache, paresthesia, drug fever, mental symptoms, rashes, fixed drug eruption, hypermelanosis (Pigmentation), phototoxicity, exfoliative dermatitis, hepatitis, agranulocytosis, lepra reaction and sulfone syndrome, infectious mononucleosis like syndrome.